Stage in which disease is easily recognized and high titre of antibodies are found:
1. Prodromal stage.
2. Fastigium
3. Defervescence stage
4. Convalescence

Correct answer: 2. Fastigium

Explanation: Incubation: This period elapsed from invasion of the tissue by pathogens and appearance of clinical features
Prodromal stages: Signs and symptoms are not specific for disease. Antibody titre is rising
Fastigium: Disease is easily recognized. In this phase high titres (Peak) of antibodies are found
Defervescence stage: Body defense mechanisms dominate and patient feels better
Convalescence (recovery stage): In convalescence the antibody titres decrease. The patients may act as carrier also